The following pair of drugs acts as protectors of cancer chemotherapy?
1. Dexrazoxane and Filgrastim
2. Folinic acid and folic acid
3. Amefostine and Acrolein
4. Magnesium and sargramostim

Correct answer: 1. Dexrazoxane and Filgrastim

Explanation: Dexrazoxane prevents cardiotoxicity of anticancer antibiotics like doxorubicin by increasing the action of superoxide dismutase-mediated inhibition of free radicles. Filgrastim is used for bone marrow protection and new cell line formation. Ref: HL Sharma 3rded. Pg: 878